By international agreement, low birth weight has been defined as a birth weight when measured within the first hour of life is
1. Less than 2000 grams
2. Less than 2800 grams
3. Less than 2500 grams
4. Less than 3000 grams

Correct answer: 3. Less than 2500 grams